Mucin is a?
1. Nucleoprotein
2. Glycoprotein
3. Phosphoprotein
4. Chromoprotein

Correct answer: 2. Glycoprotein